All of the following are components of corpus cancer syndrome, EXCEPT:
1. Multiparity
2. Diabetes
3. Hypertension
4. Obesity

Correct answer: 1. Multiparity

Explanation: "Corpus cancer syndrome": Endometrial carcinoma in association with, Obesity Hypertension Diabetes Ref: Textbook of Gynaecology by D.C. Dutta, 4th edition, Page 329.